Anion gap decreases with all except?
1. Plasma cell dyscrasia
2. Ethylene glycol
3. Protein losing enteropathy
4. Nephrotic syndrome

Correct answer: 2. Ethylene glycol

Explanation: Anion gap decreases in Nephrotic Syndrome Protein losing enteropathy Plasma cell dyscrasia (M.myeloma)